Dacrocystorhinostomy is contraindicated in all EXCEPT
1. Atrophic-rhinitis
2. DNS
3. Carcinoma lacrimal gland
4. Chronic dacrocystitis

Correct answer: 4. Chronic dacrocystitis

Explanation: Ans. d (Chronic dacrocystitis). (Ref. Parson,IWSO1-504; Basak, Ophthomology 2nd /282, 336)Dacrocystorhinostomy (DCR)# It is surgical procedure of choice in chronic dacrocystitis.# A communication is made between lacrimal sac and middle meatus of nose.# Contraindications:# DNS} # Carcinoma of lacrimal gland(Mnemonic = DCR)# Rhinitis (Atrophic)